Lumbar sympathectomy is of value in the management of:
1. Intermittent claudication
2. Distal ischaemia affecting the skin of the toes
3. Arteriovenous fistula
4. Back pain

Correct answer: 2. Distal ischaemia affecting the skin of the toes